All are true about Wiskott-Aldrich syndrome except :
1. Bloody diarrhea during infancy
2. Low IgM and elevated IgA and IgE
3. Large size platelets
4. Atopic dermatitis

Correct answer: 3. Large size platelets